Which of the following clinical findings is characteristic of both osteomalacia and rickets?
1. frontal bossing in the skull
2. muscle weakness
3. prominent costochondral junctions
4. defects in tooth enamel

Correct answer: 2. muscle weakness

Explanation: Muscle weakness is common in both rickets and osteomalacia, and proximal leg muscles are particularly involved. The combination of leg deformity and muscle weakness in rickets can result in an inability to walk. The presentation of osteomalacia is more insidious in the elderly, but proximal myopathy may be severe enough to cause a waddling gait and mimic a primary muscle disorder. The other clinical findings listed are found only in rickets.